Which of the following causes maximum hearing loss?
1. Complete obstruction of ear canal
2. Perforation of tympanic membrane
3. Ossicular interruption with intact tympanic membrane
4. Ossicular interruption with perforation

Correct answer: 3. Ossicular interruption with intact tympanic membrane

Explanation: Average hearing loss in different lesions: Complete obstruction of ear canal = 30db Perforation of tympanic membrane = 10-40 db Ossicular interruption with intact tympanic membrane= 54db Ossicular interruption with perforation = 38db Closure of oval window can cause 60 db hearing loss